What is true about antemortem wound?
1. No staining left after washing
2. No gaping
3. Uncoagulated blood
4. Arterial bleed

Correct answer: 4. Arterial bleed

Explanation: Hemorrhage in the antemortem wound is arterial.
Stain remains after wash (staining cannot be washed) in the antemortem wound.
Gaping is seen and blood is clotted in the antemortem wound.